The prognosis of rapidly proliferatingglomerulonephritis (Crescentric GN) depends upon
1. Number of crescents
2. Size of crescents
3. Shape of crescents
4. Cellularity of crescents

Correct answer: 1. Number of crescents

Explanation: . Number of crescents